Which of the following do not enter abdominal cavity from thoracic cavity at the level of T12 vertebra through an opening in the diaphragm?
1. Right phrenic Nerve
2. Aorta
3. Azygos vein
4. Thoracic duct

Correct answer: 1. Right phrenic Nerve

Explanation: Right phrenic Nerve enters abdominal cavity along with inferior venacava at the level of T8 vertebra.